During normal conversation, sound heard at 1meter distance is
1. 60dB
2. 80dB
3. 90dB
4. 120dB

Correct answer: 1. 60dB

Explanation: At a distance of 1 m, intensity of Whisper = 30 dB Normal conversation = 60 dB Shout = 90 dB Discomfort of the ear = 120 dB Pain in the ear = 130 dB Ref: Dhingra 7e pg 21.